Most common cause of Thyroiditis is -
1. Reidl' s Thyroiditis
2. Subacute Thyroiditis
3. Hashimoto's Thyroiditis
4. Viral thyroiditis

Correct answer: 3. Hashimoto's Thyroiditis